Which of the following parasite infestation may be found in the extraocular eye muscles?
1. Ascariasis
2. Ankylostoma duodenale
3. Cysticercosis
4. Trypanosomiasis

Correct answer: 3. Cysticercosis

Explanation: Ans. is 'c' i.e., Cysticercosis * Cysticercosis is one of the most common parasitic infection in extraocular muscles.* Extraocular muscle cysticercosis should be considered in patients who present with restricted ocular motility and inflammatory signs. The direction of motility restriction does not indicate the muscle involved.* Corticosteroids and albendazole is used in management.